For the prevention of human rabies, immediate flushing and washing the wound(s) in animal bite cases, with plenty of soap and water, under running tap should be carried out for how much time?
1. 2 minutes
2. 1 minute
3. 15 minutes
4. 5 minutes

Correct answer: 3. 15 minutes

Explanation: - In case of animal bite wounds, the 1st step is thorough cleansing of the wound with soap & flushing under running water for 10min & applying povidone iodine, 70% alcohol / tincture iodine. - 15 minutes is the option closest to 10 minutes,so best answer. Other measures taken are: - Tetanus toxoid & antibiotics are administered as indicated - Wound suturing - avoided ; if necessary - performed after administering Immunoglobulins. - Rabies Ig are given within 7days of wound - provides passive immunity by neutralizing rabies virus - Vaccine schedule of 5 doses given on day 0,3,7,14,28 is followed